. Percentage of gall stones which are radio opaque -
1. 10%
2. 20%
3. 30%
4. 50%

Correct answer: 1. 10%